Target fibres are characteristically seen in a muscle biopsy of -
1. Dermatomyositis
2. Motor neuron disease
3. Myasthenia gravis
4. Drug induced myopathy

Correct answer: 2. Motor neuron disease

Explanation: Target fibers

During denervation atrophy there is a cytoskeletal reorganization of some muscle cells, which results in a rounded zone of disorganized filaments in the centre of the fiber (target fiber).
Amongst the given options only motor neuron disease can result in denervation of the muscle.